BAO/ MAO ratio > ______ is suggestive of diagnosis of ZES?
1. 0.1
2. 0.3
3. 0.6
4. 0.9

Correct answer: 3. 0.6

Explanation: IOC: SECRETIN study Localization - EUS > MRI Risk of Refractory P.U.D + Secretory diarrhea. MC site ZES is D2- Duodenal wall (D2 part)>Pancreas Usual Location is Gastrinoma triangle